Endemic cardiomyopathy in children is linked to the deficiency of
1. Zinc
2. Cobalt
3. Selenium
4. Chromium

Correct answer: 3. Selenium

Explanation: Deficiency of selenium has resulted in Keshan disease, a form of cardiomyopathy endemic in China. Other dietary factors such as low intake of vitamin E, protein, and methionine are also considered relevant to the causation of the disease. Selenium deficiency is usually associated with vitamin E deficiency. Ref: Page 131; Ghai essential pediatrics; 6th edition